Trigone of bladder is derived from?
1. Distal part of Paramesonephric duct
2. Distal part of Mesonephric duct
3. Ventral part of Mesonephric duct
4. Ventral part of Urogenital sinus

Correct answer: 2. Distal part of Mesonephric duct

Explanation: Trigone of bladder is formed from distal part of mesonephric duct. Other parts of urinary bladder derive from Endoderm of urogenital sinus. Proximal part of mesonephric duct aka wolffian duct forms ductus deferens in males.